What are 'G-proteins'?
1. Membrane receptors
2. Membrane regulators
3. Second messengers
4. Membrane channels

Correct answer: 2. Membrane regulators